A child aged 3 years presented with severe sensorineural deafness, he was prescribed hearing aids but showed no improvement. What is the next line of management?
1. Fenestration surgery
2. Stapes mobilisation
3. Cochlear implant
4. Conservative

Correct answer: 3. Cochlear implant

Explanation: The patient suffers from sensorineural deafness, so fenestration and stapes mobilisation cannot be done. Such patients require heating aid or cochlear implant. Since hearing aid has not shown any benefit, cochlear implant will be indicated to provide hearing and develop speech and language. There is no conservative treatment.